In Cataract, spectacles are advised for following number of weeks after operation:
1. 6 weeks
2. 10 weeks
3. 12 weeks
4. 14 weeks

Correct answer: 1. 6 weeks

Explanation: Ans. 6 weeks